Phosphate bonded investment is made carbon free
1. To prevent brittleness of alloy.
2. To produce smooth casting.
3. To prevent staining  of ceramic.
4. For easier divesting of investment.

Correct answer: 1. To prevent brittleness of alloy.